A successful stellate ganglion block can produce –
1. Hypotension
2. Horner syndrome
3. Brachial plexus involvement
4. Hemifacial anaesthesia

Correct answer: 2. Horner syndrome